During examination in injury, hair bulbs are crushed. The probable type of wound is
1. Abrasion
2. Laceration
3. Stab injury
4. Incision

Correct answer: 2. Laceration

Explanation: HAIR BULBS ARE CRUSHED IN LACERATION Laceration - is the tearing of skin or muscles or mucous membrane caused by a shearing or a crushing force, and produced by application of a blunt force to a broad area of the body. - If the blunt force produces extensive bruising and laceration of deeper tissue, it is called crush injury.